Retinoblastoma differs from pseudoglioma by
1. Decreasing Intraocular pressure
2. Blurring of vision
3. Enlargement of optic foramen
4. All the above

Correct answer: 3. Enlargement of optic foramen

Explanation: There is increased intraocular pressure in retinoblastoma. Blurring of vision can be seen in pseudo glioma also Refer khurana 6/e p 303